Treatment of choice of Nodulocystic Acne is :
1. Erythromycin
2. Isoretinoin
3. Tetracycline
4. PUVA

Correct answer: 2. Isoretinoin

Explanation: Ans. is 'b' Isotretinoin [Ref Harrison 16/e, p 295 (Page 3151 Rexburg's 16/e Page 1561According to this table 3 choice are correct but Harrison says "that severe nodulocystic acne not responsive to oral antibiotics, hormonal therapy or topical therapy may be treated with synthetic retinoid, Isotretinoin."